Chikungunya is caused by ?
1. Mosquito-borne Alphavirus
2. Mosquito-borne Beta virus
3. Mosquito-borne Gamma virus
4. Mosquito-borne Deltavirus

Correct answer: 1. Mosquito-borne Alphavirus

Explanation: Chikungunya caused by a mosquito-borne alphavirus.Previous outbreaks had been confined to the tropics, and some have attributed this expansion to global warming. Ref: Harrison's Principles of Internal Medicine, 18e, Chapter 119.Introduction to Infectious Diseases.